Type 1 RTA is characterized by-
1. High anion- gap acidosis
2. Low serum potasium
3. hyperkalemia
4. Negative urine anion gap

Correct answer: 2. Low serum potasium

Explanation: Type 1RTA-classical distal RTA Hypokalemia Low urine ammonium excretion Non AG acidosis High urine Ph Many of them have hypocitrauria, hypercalciuria ,sort nephrocalcinosis, nephrolithiasis and bone disease are common . renal stones Ref:HARRISON 20th edition pg. No. 320